WHich of the following is found in multiple myeloma
1. Hypercalcemia
2. Increased alkaline phosphatase
3. Decreased IgA
4. Hypouricemia

Correct answer: 1. Hypercalcemia

Explanation: Hypercalcemia in myeloma is multifactorial, but is ultimately caused by bone destruction from osteolytic tumor lesions and is most commonly observed in patients with extensive bone involvement by neoplastic plasma cells. In patients with myeloma, a hypercalcemia diagnosis is often indicative of uncontrolled disease Ref Davidson 23rd edition pg 409